Superantigens true statement is?
1. They bind to the cleft of the MHC
2. Needs to be processed before presentation
3. They are presented by APC's to T-cells
4. Directly attached to lateral aspect of TCR 13 chain

Correct answer: 4. Directly attached to lateral aspect of TCR 13 chain

Explanation: Ans (d) Directly attached to lateral aspect of TCR Ref. Ananthanarayan 8/e, p 145, 9/e, p 90; lawetz 27/e p 134 Superantigen Superantigens are certain antigens that can interact with antigen presenting cells and T-cells in non-specific manner. Conventional antigens binds to the a p heterodimer groove of the MHC molecule through the V regions of TCR a and 13 chains, super antigens bind directly to the lateral aspect of the TCR 13 chain. Moreover, this activity does not involve the endocytic processing required for typical antigen presentation. This interaction activates a larger number of T-cells (10%) than conventional antigen (about 1%) resulting in massive cytokine expression and immuno-modulation. Various superantigens include: Staphylococcal enterotoxin, toxic shock syndrome toxin, etc.